All of the following statements about neuromuscular blockage produced by succinylcholine are true, Except–
1. No fade on train of four stimulation
2. Fade on tetanic stimulation
3. No post tetanic facilitation
4. Train of four ratio > 0.4

Correct answer: 2. Fade on tetanic stimulation

Explanation: Fade on tetanic stimulation is a feature of Non-depolarizing blockers.
Succinylcholine characteristically produces a depolarizing neuromuscular block. Depolarizing neuromuscular blockage is characterized by no fade on the train of four or tetanic stimulation, no post-tetanic facilitation and a high train of four ratios>0.7 (>0.4).
Fade on tetanic stimulation is a characteristic feature of non-depolarizing blockage although it may be seen with prolonged administration of succinylcholine as phase II block supervenes.